Strangulation by keeping neck between angle of elbow ?
1. Burking
2. Smothering
3. Mugging
4. Gagging

Correct answer: 3. Mugging

Explanation: Ans. is 'c' i.e., Mugging Strangulation is the form of asphyxia caused by constriction of neck by ligature or some other method, but without suspension of the body. So the force constricting the neck is external force (not the weight of the body as occurs in hanging). Depending upon the method used to constrict the neck, strangulation can be divided into : Ligature strangulation : Neck is compressed by a ligature of which usually multiple rounds are given and no knot is tied. Throttling (manual strangulation) : Neck is compressed by one or both hands. When neck is compressed by two palms, it is known as palmar strangulation. Bansdola : Compression of neck with one or two wooden sticks or bamboo. Garrotting : It is compression of neck by a rope thrown from behind. Spanish windlass is a type of garrotting, which used to be the official mode of execution in spain. In this, an iron collor around the neck was tightened by a screw for strangulation. Mugging (choke hold) : It is compression of neck by forearm or in the bend of elbow. Strangulation by knee/foot : In this, neck is compressed by knee or foot.